Nimodipine is given in:
1. Extradural hemorrhage
2. Subdural hemorrhage
3. Intracerebral
4. Subarachnoid hemorrhage

Correct answer: 4. Subarachnoid hemorrhage

Explanation: Ans. (D) Subarachnoid hemorrhage(Ref: Katzung 13th/e p202)Nimodipine is a cerebroselective calcium channel blocker indicated in subarachnoid hemorrhage.